A young patient complains of shooting pain , paraesthesia and tenderness on one side of the palate. Unilateral vesicles appear in clusters. The patient gives previous history of chickenpox.
1. Herpes zoster
2. Herpes simplex
3. Herpengina
4. Bahcets syndrome

Correct answer: 1. Herpes zoster